Which of the following cranial nerves does not carry parasympathetic outflow?
1. Oculomotor
2. Trochlear
3. Facial
4. Glossopharyngeal

Correct answer: 2. Trochlear

Explanation: Ans. (B) Trochlear(Ref: Katzung 11/e p78; KDT 8th/e p105)Parasympathetic cranial nerves are III (oculomotor), VII (facial), IX (glossopharyngeal) and X (vagus).